All of the following are risk factors of CA GB except
1. Gallstones
2. Adenomyomatosis
3. Procelain gallbladder
4. Choledochal cyst

Correct answer: 2. Adenomyomatosis

Explanation: Adenomyomatosis has no malignant potential Risk factors for carcinoma Gallbladder Gallstones >3cm Procelain gallbladder Anomalous pancreaticobiliary junction Choledochal cysts Adenomatous polyps Primary sclerosing cholangitis Obesity Salmonella typhi infection Ref : Sabiston 20th edition Pgno :1510